Which of the following glycolytic enzymes is used in gluconeogenesis?
1. Glucokinase
2. Aldolase
3. Pyruvate kinase
4. Phosphofructokinase

Correct answer: 2. Aldolase

Explanation: Aldolase is the enzyme which catalyses reversible reaction of glycolysis. So this enzyme is utilised in gluconeogenesis. Glucokinase, pyruvate kinase and phosphofructokinase are enzymes which catalyse the reversible reaction of glycolysis.